Donovanosis is caused by
1. Calymmatobacter granulomatis
2. T. pertenue
3. Chlamydia trachomatis
4. H. ducreyi

Correct answer: 1. Calymmatobacter granulomatis

Explanation: DONOVANOSIS:-Granuloma venerum. Fourth veneral disease. Granuloma inguinale tropicum.Organism:-Calymmatobacterium granulomatis/ Klebsiella granulomatis .(closed safety pin morphology)Clinical features:-1. Painless papule at the site of entry.Becomes ulcerated and gradually develops into characteristic elevated, beefy red ulcero-granulomatous masses that bleed easily.2. Males Site-prepuce, frenum, glans penis and penoscrotal junction.3. Females- labia majora, mons veneris, and fourchette.Complications:-1. Fluctuant swelling develops in the inguinal region due to subcutaneous involvement lymphatics and is referred to as pseudobubo formation.2. Squamous cell carcinoma.{Reference: IADVL textbook of dermatology, vishalakshi Vishwanath. Pg no. 128.}